Treatment of choice for Kawasald diseae -
1. IV immunoglobulin
2. Steroid
3. Azathioprin
4. Not recalled

Correct answer: 1. IV immunoglobulin